A patient is NOT able to look downward. Which muscle may be paralyzed?
1. Superior oblique
2. Superior rectus
3. Inferior oblique
4. Lateral rectus

Correct answer: 1. Superior oblique

Explanation: MUSCLES helping in looking down - Inferior rectus - primary function supplied by 3rd cranial nerve Superior oblique - secondary function-suppliecd by 4th cranial nerve